Selective culture medium to grow leptospira
1. Thayer Main medium
2. Mc Conkey agar
3. Chocolate agar
4. EMJH

Correct answer: 4. EMJH

Explanation: CULTURE MEDIA ORGANISM 1. EMJH(Ellinghausen McLlaugh Johnson and Harris) Leptospira 2. Thayer Main medium Gonocoocus and meningococcus 3. MacConkey's agar Enterobacteriacae 4. Chocolate agar Gonocoocus , meningococcus and hemophilus